Carbmezpine is the drug of choice in
1. Absence attacks
2. Partial complex siezures
3. Myoclonus
4. Innantile spams

Correct answer: 2. Partial complex siezures

Explanation: K D Tripathy essentials of medical pharmacology 7th edition. *Carbamazepine is the most effective drug for CPS